amount of previously unrecognised disease which is diagnosed by screening effor, is-
1. Yield
2. Sensitivity
3. Specifivity
4. PPV

Correct answer: 1. Yield

Explanation: .
yield is the amount of previously unrecognised diseases that is diagnosed as a result of the screening effort .it depends upon many factors.like sensitivity and specificity of the tets in the detection programmes.for example by limiting a diabetes screening programme to persons over 40 years we can increase the yield of the screening test.high risk populations are usually selected for screening thus increasing the yield.

ref:park's textbook of preventive and social medicine,22 nd edition,pg no132